The Chorda tympani nerve arises from which of the following cranial nerve?
1. The vagus nerve
2. The trigeminal nerve
3. The glossopharyngeal nerve
4. The facial nerve

Correct answer: 4. The facial nerve

Explanation: Chorda tympani is a mixed nerve which arises from the vertical segment of the facial nerve about 6mm above the stylomastoid foramen. It carries taste sensations from the anterior two third of the tongue and carries preganglionic secretomotor fibers. Branches of facial nerve: In facial canalNerve to stapediusChorda tympaniJust outside stylomastoid foramenPosterior auricular nerveTo posterior belly of digastricTo stylohyoid foramenOn faceTemporalZygomaticBuccalMarginal mandibularcervical